Dennie Morgan fold is seen in?
1. Mastocytosis
2. Seborrhoic dermatitis
3. Sarcoidosis
4. Atopic dermatitis

Correct answer: 4. Atopic dermatitis

Explanation: D i.e. Atopic dermatitis